Dose of Vitamin A (I.U) and Vitamin D (I.U) in Dalda is –
1. 1000 & 100
2. 1500 & 125
3. 2000 & 150
4. 2500 & 175

Correct answer: 4. 2500 & 175